Third tubercle of femur provides attachment to
1. Gluteus maximus
2. Gluteus medius
3. Gluteus minimis
4. Piriformis

Correct answer: 1. Gluteus maximus

Explanation: The gluteal tuberosity gives attachment to part of the Gluteus maximus: its upper part is often elongated into a roughened crest, on which a more or less well-marked, rounded tubercle, the third trochanter, is occasionally developed. ref - Bdc vol2 6th ediiton p13